Wernicke's hemianopic pupillary response is seen in lesions at :
1. Optic tract
2. Optic chiasma
3. Optic radiation
4. Lateral geniculate body

Correct answer: 1. Optic tract

Explanation: A i.e. Optic tract